A 42 year old man is preoccupied with his health being not in good shape. He feared that his irregular bowel functions mean he has cancer. Now he is preoccupied about having a serious heart disease, despite his physician's assurance that he has no heart disease. What is his most likely diagnosis?
1. Pain disorder
2. Hypochondriasis
3. Delusional disorder
4. Somatization disorder

Correct answer: 2. Hypochondriasis

Explanation: Ans. B. Hypochondriasis* Hypochondriasis is characterized by fear of developing or having a serious disease, based on the patient's distorted interpretation of normal physical sensations or signs.* The patient continues worrying even though physical exams and diagnostic tests fail to reveal any pathological process.* The fears do not have the absolute certainty of delusions.* Hypochondriasis can develop in every age group, but onset is most common between 20 and 30 years of age.* Both genders are equally represented, and there are no differences in prevalence based on social, educational, or marital status. The disorder tends to have a chronic, relapsing course.